Which of the following is a marker for neural tube defects -
1. | Phosphatidylesterase
2. | Pseudocholinesterase
3. | Acetylcholinesterase
4. | Butyrylcholinesterase

Correct answer: 3. | Acetylcholinesterase

Explanation: Ans. is 'c' i.e., | Acetylcholinesterase